Antipsychotic drug with least extrapyramidal effects is :
1. Clozapine
2. Risperidone
3. Thioridazine
4. Chlorpromazine

Correct answer: 1. Clozapine

Explanation: A i.e. Clozapine